Transfer of genetic material by means of bacteriophage is known as:
1. Transformation
2. Conjugation
3. Transduction
4. Translation

Correct answer: 3. Transduction

Explanation: Ans: c (Transduction) Ref: Ananthanarayanan, 7th ed,p. 55"Transfer of a portion of the DNA from one bacterium to another by a bacteriophage is known as transduction."Transformation:The first example of genetic exchange in bacteria was described by Griffith.This is the transfer of genetic material through the agency of free DNA.This has been studied mainly in BPH:BacillusHemophilusPneumococcusTransductionTransfer of a portion of DNA from one bacterium to the other by means of a bacteriophage. This has been proposed as a method of genetic engineering and in treatment of some inborn errors of metabolism.Conjugation:Transfer of genetic elements after actual physical contact between a male donor bacterium and female recipient e.g. transfer of episomes and plasmid such as those for resistance.Bacterial conjugation was first described by Lederberg and Tatum in a strain of E. coli called K-12Lysogenic conversion:In lysogenic conversion the phage DNA itself is the new genetic element as it becomes integrated with the bacterial host DNA with which it multiplies and is transferred to daughter cells. E.g.: Diphtheriae corynebacterium